Alpha fetoprotein is genetically and structurally related to -
1. Albumin
2. Transferrin
3. Fibrinogen
4. Growth hormone

Correct answer: 1. Albumin